If you calculate the plasma osmolality of a child with plasma Na+ 125 mEq/l, glucose 108 mg/ dl, and BUN (blood urea nitrogen) 140 mg/ dl, the most appropriate answer would be:
1. 300 mOsm/kg
2. 306 mOsm/kg
3. 312 mOsm/kg
4. 318 mOsm/kg

Correct answer: 2. 306 mOsm/kg

Explanation: B i.e. 306 mOsm/kg